Glasgow coma scale includes:a) Eye openingb) Motor responsec) Swallowing reflexd) Sensory responsee) Verbal response
1. abc
2. bcd
3. abe
4. acd

Correct answer: 3. abe